Parotid duct pierces which muscle?
1. Buccinator
2. Lateral Pterygoid
3. Medial Pterygoid
4. Risorius

Correct answer: 1. Buccinator

Explanation: Ans. is 'a' i.e., Buccinator * Structures piercing the buccinator arei) Parotid ductii) Buccal branch of mandibular nerveiii) Four or five mucous glands lying on the bucco-pharyngeal fascia around the parotid duct.